Which collagen produces sheets?
1. I
2. II
3. IV
4. VI

Correct answer: 3. IV

Explanation: The quarter stagerred triple helical structure of collagen is resposible for its tensile strength. Different arrangements of collagen fibrils in tissues are seen.Parallel bundles in tendons and layered at many angles in skin. REFERENCE : DM VASUDEVAN TEXTBOOK SEVENTH EDITION ; PAGE NO :39